Melting temperature of DNA is directly proportional to
1. GC Pairing
2. AT Pairing
3. Length of DNA
4. None of the above

Correct answer: 1. GC Pairing

Explanation: GC pairs have 3 hydrogen bonds and therefore melt at higher temperature compared to AT pairs which have 2 hydrogen bonds.